The focal length of the mirror used in head lamp:
1. 85 mm
2. 150 mm
3. 250 mm
4. 400 mm

Correct answer: 3. 250 mm

Explanation: Ans. is c i.e. 250 mm Head mirror is a concave mirror used to reflect light from the bull's eye lamp onto the part being examined It has focal length of -- 25 cm (= 10 inch) The examiner sees through the hole in the centre of the mirror Diameter of central hole = 19 mm (3/4 inch)